Clinical finding in AV fistula is one of the following
1. Pericarditis
2. Sinus tachycardia
3. Cardiac arrhythmia
4. Hypothermia

Correct answer: 2. Sinus tachycardia

Explanation: The mechanism behind bradycardia associated with Branham sign is likely similar to the reflex arc that occurs during the Bezold-Jarisch reflex. Presence of an AV fistula results in increased cardiac output because of low resistance across the AV shunt. Ref Davidson 23rd edition pg 467